Mitochondria are involved in all except
1. Fatty acid synthesis
2. DNA synthesis
3. Citric acid cycle
4. Fatty acid β-oxidation

Correct answer: 1. Fatty acid synthesis

Explanation: Fatty acid synthesis occurs in the cytosol.
Citric acid cycle and (β-oxidation of fatty acids takes place in mitochondria.
Mitochondria are the only organelle, beside nucleus, which can synthesize DNA.